In conductive deafness, weber test -
1. Normal
2. Lateralized to normal ear
3. Lateralized to poor ear
4. None

Correct answer: 3. Lateralized to poor ear

Explanation: Ans. is 'c' i.e., Lateralized to poor earTestNormalConductive deafnessSN deafnessRinneAC > BC (Rinne positive)BC > AC (Rinne negative)AC > BC {Rinne negative)WeberNot lateralizedLateralized to poorer earLateralized to better earABCSame as examiner'sSame as examiner'sReducedSchw'abachEqualLengthenedShortened